The drug which acts by inhibiting oxidative phosphorylation in helminths?
1. Niclosamide
2. Piperazine
3. Praziquantel
4. Mebendazole

Correct answer: 1. Niclosamide

Explanation: Niclosamide is a chlorinated salicylamide for most cestode infections acts by, inhibiting oxidative phosphorylation. But post drug purging is required for niclosamide, unlike praziquantel and albendazole.Ref: Sharma and Sharma 2nd e/pg 805.